Anemic hypoxia is seen
1. CO poisoning
2. CO2 poisoning
3. HCN poisoning
4. Nerve gas

Correct answer: 1. CO poisoning

Explanation: Ans. CO poisoning